All are true about hypertrophic obstructive cardiomyopathy except -
1. Asymmetric septal hypertrophy
2. Dilatation of atria
3. Dilatation of ventricles
4. Outflow obstruction

Correct answer: 3. Dilatation of ventricles